In noise induced hearing loss , audiogram shows a Boiler's notch at ?
1. 1000 Hz
2. 2000 Hz
3. 3000 Hz
4. 4000 Hz

Correct answer: 4. 4000 Hz

Explanation: Noise induced hearing loss Boiler notch at 4000 HZ Max seen at 3000 - 6000 HZ Sterocilia of outer hair cells are 1st to be affected . Carhart's notch - dip is present at 2000 HZ .(seen in otosclerosis)